A 45 year old male, who was operated for fracture of the femur neck, developed severe chest pain, dyspnea, and streaky hemoptysis, followed by hypotension on the 4th postoperative day. The likely etiology is
1. Myocardial infarction
2. Pulmonary embolism
3. Acute respiratory distress syndrome
4. Aortic dissection

Correct answer: 2. Pulmonary embolism

Explanation: Pulmonary embolism and surgery Blood pools or collects in the veins and blood clots can form. Less common causes include bone marrow from a long, broken bone, as well as tissue from a tumor, and even air bubbles. The veins are the blood vessels that return blood to the heart. And those undergoing day surgery are unlikely to be considered for preventive therapy at all. The risk of venous thromboembolism (a collective term for deep vein thrombosis and pulmonary embolism) is known to increase after surgery, particularly after major orthopaedic (joint) surgery